Testosterone inhibitors are all except ?
1. Spironolactone
2. Flutamide
3. Finasteride
4. Sildenafil

Correct answer: 4. Sildenafil

Explanation: Ans. is 'd' i.e., Sildenafil